The inferior most structure of right hilum is
1. Right atrium
2. Inferior pulmonary vein
3. Pulmonary artery
4. Inferior bronchial vein

Correct answer: 2. Inferior pulmonary vein

Explanation: The inferior most structure of right hilum is inferior pulmonary vein. The sequence of structures at the right hilum superior to inferior is: Superior lobar (eparterial) bronchus. Pulmonary artery Principal bronchus Inferior pulmonary vein Ref: Gray's Anatomy 41st edition Pgno: 958